Which one of the following radioisotope is not used as a permanent implant :
1. Iodine–125
2. Palladium–103
3. Gold–198
4. Caesium–137

Correct answer: 4. Caesium–137

Explanation: Caesium - 131 → Permanent implant
Caesium - 137 → Temporary implant